Medium thickness rubber dam is:
1. 0.006 inch
2. 0.008 inch
3. 0.010 inch
4. 0.014 inch

Correct answer: 2. 0.008 inch